A 45 year old male presents with 4 X 4 cm, mobile right solitary thyroid nodule of 5 months duration. The patient is euthyroid. The following statements about his management are true except
1. Cold nodule on thyroid scan is diagnostic of malignancy
2. FNAC is required in further management of patient
3. The patient should undergo hemithyroidectomy if FNAC report is inconclusive
4. Indirect laryngoscopy should be done in the preoperative period to assess mobility of vocal cords

Correct answer: 1. Cold nodule on thyroid scan is diagnostic of malignancy

Explanation: Malignancy is present in 15% to 20% of cold nodules and in less than 5% of hot nodules. Although suggestive, malignancy of a nodule can be neither confirmed nor excluded based on radionuclide uptake. Note :Option "Patient should undergo hemithyroidectomy if FNAC report is inconclusive " is controversial. Close surveillance with ultrasound, genetic and molecular testing or other alternatives to diagnostic thyroidectomy. Even after diagnostic thyroidectomy, patient still requires survelliance for other lobe or may require total thyroidectomy if biopsy proves malignancy.